Semantic memory includes all except:
1. Rules
2. Events
3. Words
4. Language

Correct answer: 2. Events

Explanation: Events are included in episodic memory Memory can be divided into explicit and implicit forms Explicit or declarative memory is associated with consciousness-or awareness. Explicit memory is divided into - episodic memory for events - semantic memory for facts (e.g. words, rules, and language). E.g. if you try to remember your first day in medical college, it would be episodic memory as an event will flash in front of your eyes. Implicit or non-declarative memory involves things we need not actively remember. E.g. driving a bicycle is an implicit memory. You don't have to remember every-time how to ride a bicycle.